Delirium is seen in which of the following poisonings
1. Dhatura
2. Lead
3. Opioid
4. All

Correct answer: 4. All

Explanation: A i.e. Dhatura; B i.e. Lead; C i.e. Opioid - The Deliriant poisons are - 'Hy - AB - CD' i.e. Hyoscyamus, Atropa Belladona, Cannabis, DhaturaQ - Opium & chronic Lead poisoningQ also causes delirium